Temporary and permanent removed by –
1. Boiling
2. Addition of lime
3. Permutit method
4. All

Correct answer: 3. Permutit method

Explanation: Permutit method (Base exchange process) can remove both permanent and temporary hardness.